Which among the following is the last tributary of the azygos vein?
1. Right-superior intercostal vein
2. Hemi-azygos vein
3. Right bronchial vein
4. Accessory azygos vein

Correct answer: 3. Right bronchial vein

Explanation: Azygos vein receives venous drainage from the right bronchial vein near its termination. Tributaries of the azygos vein include: The right superior intercostal vein (a single vessel formed by the second, third, and fourth intercostal veins)Fifth to eleventh right posterior intercostal veinsThe hemiazygos veinThe accessory hemiazygos veinEsophageal veinsMediastinal veinsPericardial veinsRight bronchial veinsRef: Gray's Basic Anatomy By Richard Drake, A. Wayne Vogl, Adam W. M. Mitchell, 2012, Page 127.